Risk factors for developing Surgical Site Infections (SSIs) include all EXCEPT
1. General anesthesia
2. Prolonged duration of procedure
3. Malnutrition
4. Bacterial contamination

Correct answer: 1. General anesthesia

Explanation: (A) General anaesthesiaRISK FACTORS OF SSISPatient-related risk factorsProcedure-related risk factors* Age* Operative wound class* Diabetes mellitus/Perioperative Hyperglycemia* Patient Skin Preparation in the Operating room* Obesity* Preoperative shaving* Tobacco use* Perioperative hypoxia* Malnutrition* Type of surgery* Preoperative nares colonization with Staph, aureus* The duration of surgery* Pre-existing Remote body site infection* Surgical technique* Compromised Immune System* A postoperative hematoma* The presence of Cirrhosis or any other Debilitating disease* Surgical drains* Perioperative transfusions* Suboptima timing of antibiotic prophylaxis* Prolonged preoperative hospital stay* Traffic in the operating room> A number of risk factors are known to increase the risk for SSIs, including obesity, advanced age, diabetes mellitus, malnutrition, prolonged preoperative stay, infection at a remote site, duration of surgery, surgery technique, presence of drains, inappropriate use of antimicrobial prophylaxis, perioperative temperature, and poor postoperative glycemic control.> Many of these are beyond practitioner control, but optimizing perioperative conditions can certainly help decrease infection risk.> Significant improvement has been observed in compliance with performance measures known to decrease postoperative morbidity and mortality.